The interval between the primary and the secondary case is called as:
1. Serial interval
2. Generation time
3. Median Incubation period
4. Latent period

Correct answer: 1. Serial interval

Explanation: Ref: 21st edition Park. Pg 95Explanation:Incubation periodBetween invasion by an infectious agent and appearance of the first sign / symptomsMedian Incubation periodThe time required for 50 percent of the cases to occur following exposureLatent periodEqual to IP in non-communicable diseaseSerial intervalBetween onset of primary case and secondary caseGeneration timeInterval between the receipt of infection by a host and maximal infectivityPeriod of communicabilityDuring which an infectious agent can be communicated